RNA oncogenic virus amongst the following is?a) HIVb) HTLV c) HBVd) Cytomegalovirus
1. ac
2. a
3. ad
4. ab

Correct answer: 4. ab